Use of dexemditomidine
1. Prolong action of LA in hypertensive patients
2. Sedative agent for intubated patients
3. Increases bioavailability of regional anaesthetic drug
4. Helps in reducing bispictral index of general anaesthetic drug with low potency

Correct answer: 2. Sedative agent for intubated patients

Explanation: DexmedetomidineIt is a centrally acting a-2 adrenergic agonistIt is approved by f.D.A for short-term (<24 hours) continuous IV sedation of adults who are tracheally intubatedIts use as an anaesthetic agent is not recommended but it is useful in patients with brain injury and ongoing sedation needs.(Refer: Morgan and Mikhail's Clinical Anaesthesiology, 5th edition, pg no. 288)